True about MDMA:
1. Ecstasy is another name for it
2. It is a cocaine congener
3. Causes parkinsonism like syndrome
4. Methadone is used to treat withdrawal symptoms

Correct answer: 1. Ecstasy is another name for it

Explanation: Ans. Ecstasy is another name for it